Criteria for diagnosis of gestational trophoblastic neoplasia includes all except
1. Plateau of serum β-hcG levels for 4 measurements during a period of 3 weeks
2. Rise in serum β-hcG levels > 10% during 3 weekly consecutive measurement
3. Serum β-hcG levels remain detectable for 3 months only
4. Histological evidence of choriocarcinoma

Correct answer: 3. Serum β-hcG levels remain detectable for 3 months only

Explanation: TABLE 20-3. Criteria for Diagnosis of Gestational Trophoblastic Neoplasia

Plateau of serum β-hcG level (+ 10 percent) for four measurements during a period 3 weeks or longer - days 1, 7, 14, 21.
Rise of serum β-hcG level > 10 percent during three weekly consecutive measurements or longer during a period of 2 weeks or more - days 1, 7, 14.
Serum β-hcG level remains detectable for 6 months or more
Histological criteria for choriocarcinoma.